A 22-year-old football player is admitted to the hospital with pain and swelling over the lateral aspect of the ankle. The emergency department doctor diagnosed an inversion sprain. Which ligament was most likely injured?,
1. Calcaneonavicular (spring)
2. Calcaneofibular
3. Long plantar
4. Short plantar

Correct answer: 2. Calcaneofibular

Explanation: A forced inversion of the foot can result in tearing of the calcaneofibular ligament and sometimes the anterior talofibular ligament as well. Both of these ligaments act to stabilize the foot and prevent an inversion injury. FIG:-lateral collateral ligament of ankle Calcaneonavicular (spring) ligament - is on the medial side so not injured in inversion injury.